Which is the most common cause of death in rheumatoid arthritis?
1. Cardiovascular complications
2. Neurological complications
3. Lung disease complications
4. Haematological complications

Correct answer: 1. Cardiovascular complications

Explanation: The overall mortality rate of RA is two times greater than general population, with ischemic heart disease being the most common cause of death. The life expectancy is reduced by 7 years for men and 3 years for women.